Which is the most common cause of acquired arteriovenous fistula?
1. Blunt trauma
2. Fungal infection
3. Bacterial infection
4. Penetrating trauma

Correct answer: 4. Penetrating trauma

Explanation: Acquired arteriovenous fistulas are caused by artificial connections between adjacent arteries and veins. Penetrating injuries are the most common cause of acquired arteriovenous fistula. Other causes includes creating vascular access for hemodialysis, as complications of arterial catheterization or surgical dissection and rarely it can be caused by rupture of an arterial aneurysm into a vein. Ref: Bailey and Love Short Practice of Surgery, 25th Edition, Page 596; Harrison's Principles of Internal Medicine, 18th Edition, Chapter 249.